Ziemann's dots in RBC are seen in infection with
1. Pl vivax
2. Pl falciparum
3. Pl malaria
4. Pl ovale

Correct answer: 3. Pl malaria

Explanation: Ziemann dots in RBC-PL Malaria Schaffner dots in RBC- Pl vivax Accola rings-falciparum Ref: D.R. Arora. Medical parasitology 4th ed pg 108